MBBS student she was choking with dyspnea, chest tightness, anxiety and an impending sense of doom on examination all systemic conditions were found normal, then she went to psychiatry. What is the probable diagnosis of the condition?
1. Panic disorder
2. Depression
3. Epilepsy
4. Asthma

Correct answer: 1. Panic disorder

Explanation: ANS - A. Panic disorderPanic disorder-severe anxiety with choking, chest pain and palpitations.Depression- low mood and lost interest in activitiesEpilepsy-neurological disorder with whole-body fatigue and muscle spasmsAn asthma-respiratory disorder associated with symptoms of cough, wheezing, etcRef: ARVIND ARORA review of psychiatry p:131